Bone marrow involvement is maximum in which type of lymphoma?
1. B cell chronic lymphocytic lymphoma
2. Follicular lymphoma
3. Diffuse large B cell lymphoma
4. Burkitt's lymphoma

Correct answer: 1. B cell chronic lymphocytic lymphoma

Explanation: Bone marrow involvement is seen in 72% of B cell chronic lymphocytic lymphoma. Ref: Harrisons principles of internal medicine, 18th edition, Page: 926